The number of openings per square inch of a standard mosquito net should be:
1. 100
2. 150
3. 250
4. 175

Correct answer: 2. 150

Explanation: The material of the mosquito net should be white for easy detection of mosquitoes. The best pattern is the rectangular net. The size of the opening of mosquito net is of utmost importance, the size should not exceed 0.0475 inch in any diameter. The number of holes in one square inch is usually 150.